Acrophobia is:
1. Getting caught in places from where escape would be difficult
2. Fear of heights
3. Fear of animals
4. Fear of closed spaces

Correct answer: 2. Fear of heights

Explanation: B i.e. Fear of heights